Internal fistula is most common between gall bladder and:
1. Colon
2. Duodenum Ist part
3. Jejunum
4. Transverse colon

Correct answer: 2. Duodenum Ist part

Explanation: Answer is B (Duodenum 1st part)